Which one of the following is the most significant risk factor for development of gastric carcinoma?
1. Paneth cell metaplasia
2. Pyloric metaplasia
3. Intestinal metaplasia
4. Ciliated metaplasia

Correct answer: 3. Intestinal metaplasia

Explanation: Risk factors are:Long-term ingestion of high concentration of nitratesH.pyloriIntestinal metaplasia in patients with atrophic gastritisGastric ulcers and adenomatous polypsMenetrier's diseasePatients with blood group A have a higher incidence of Ca stomach than blood group ONote: duodenal ulcers are not associated with gastric cancer.Ref: Harrison's 18/e p766